Punctuated lesion and floating teeth are seen in
1. Metastasis
2. Osteitis fibrosa
3. Histiocytosis
4. Asbestosis

Correct answer: 3. Histiocytosis

Explanation: Skullsolitary or multiple punched-out lytic lesions without sclerotic rimdouble contour/beveled edge appearance /hole within a hole signbutton sequestrum representing residual bonegeographic skull/ raindrop skullMandibleirregular radiolucent areas involving superficial alveolar bonefloating tooth: loss of lamina duraSpineveebra plana: most common cause of vertebra plana in childrenLong bonespermeative and aggressive appearing lesionmainly involves diaphysis or metadiaphysis endosteal scalloping, periosteal reaction, cortical thinning, intracortical tunneling, and associated soft tissue mass (Ref: Radiology Review ManualBy Wolfgang Dahnert 7thEtd, Page no:115,116)